Gestational sac can be seen earliest on transvaginal scan at
1. 4- 5 wks
2. 5 - 6 wks
3. 7 - 8 wks
4. 10 wks

Correct answer: 1. 4- 5 wks

Explanation: Gestational sac Cardiac activity Transvaginal sonography 4 + weeks 5 + weeks Transabdominal sonography 5 +weeks 6 + weeks Please note: in exams the same information may be asked as 'Which week gestational sac is seen" ? the answer choice maybe given as 5th week. so please realize that '4 wks + some days' is actually the 5th week.